Which of the following is a Nonsense codon :
1. UAG
2. AUG
3. AGG
4. UUA

Correct answer: 1. UAG

Explanation: Non-sense codons/Terminator Codons/Punctuator codons Codons which do not code for any particular amino acid. Mark end of protein synthesis. These codons are UAA UAG UGA UGA is a stop codon; But in special circumstances, it stands for seleno-cysteine ("21st" amino acid). UAG is a stop codon; But in special circumstances, it stands for pyrrolysine (22nd amino acid)